Acute coronary syndrome includes all except-
1. STEMI
2. NSTEMI
3. Stable angina
4. Unstable angina

Correct answer: 3. Stable angina

Explanation: Ref: R. Alagappan Manual for Medicine 4th Edition pg no:179 This syndrome includes unstable angina, and non-ST elevation myocardial infarction (NSTEMI). ACS is a spectrum of disease characterised by either one of the following: 1. New-onset angina 2. Angina at rest 3. Progression of angina of increasing frequency or severity 4. Angina in response to lower levels of exertion. ACS most often represents acute atherosclerotic plaque rupture with exposure of thrombogenic sub-endothelial matrix. Thrombus formation, which may be episodic in nature and it is the mechanism by which it interferes with coronary blood flow